HAV is not destroyed by:
1. 0.5 ppm chlorine
2. 1:4000 formalin
3. UV radiation
4. Boiling at 100degC for 5 minutes

Correct answer: 1. 0.5 ppm chlorine

Explanation: Ans. a. 0.5 ppm chlorine